Laser used in cutting out cataract capsule is –
1. Nd: YAG laser
2. Argon laser
3. DYE laser
4. Diode

Correct answer: 1. Nd: YAG laser

Explanation: Thin after cataract can be cleared centrally by Nd : YAG laser capsulotomy.